Left anterior descending artery is a branch of
1. Ascending aorta
2. Right coronary artery
3. Left coronary artery
4. Circumflex artery

Correct answer: 3. Left coronary artery

Explanation: Ascending aorta Right coronary artery Left coronary artery SA Nodal artery AV Nodal Artery Posterior Interventricular Artery (PIVA) Anterior Interventricular Artery (AIVA) OR Left anterior descending artery Circumflex Artery AIVA supplies the anterior 2/3rd of interventricular septum PIVA supplies the posterior 1/3rd of interventricular septum